T2N1 of CA GB represents which stage
1. IA
2. IB
3. II
4. III

Correct answer: 4. III

Explanation: According to 8th AJCC (2017) TNM classification of carcinoma Gallbladder T2- Invade the perimuscular connective tissue T2a- Invade the perimuscular connective tissue on the peritoneal side with no extension to serosa T2b- Invade the perimuscular connective tissue on hepatic side with no extension into the liver Stage IA - T1aN0M0 Stage IB - T1bN0M0 Stage IIA- T2aN0M0 Stage IIB- T2bN0M0 Stage IIIA- T3N0M0 Stage IIIB- T1-3N1M0 Stage IVA - T4N0-1 M0 Stage IVB- Tany N2M0, Tany Nany M1 Ref: Sabiston 20th edition Pgno :1512-1514